Lennox Gastaut syndrome is characterized by:
1. Single seizures type
2. Occurs in adults
3. Good prognosis with adequate control
4. EEG showing less than 2.5 Hz spike and wave discharge

Correct answer: 4. EEG showing less than 2.5 Hz spike and wave discharge

Explanation: Lennox-Gastaut syndrome Occurs in children. Multiple seizure types: i) GTCS ii) Atypical absence iii) Atonic seizure Etiology = multifactorial EEG = <2.5 Hz spike & slow wave D.O.C =Na valproate * Is associated with CNS disease or dysfunction from a variety of causes, including de novo mutations, developing abnormalities, perinatal hypoxia/ ischemia. * Has poor prognosis due to underlying CNS disease.